Organophosphate insecticides are all except
1. Dieldrin
2. Fenthion
3. Diazinon
4. All

Correct answer: 1. Dieldrin

Explanation: Ans. is `a' i.e., Dieldrin